Catecholamines are synthesized from -
1. Tyrosine
2. Tryptophan
3. Glycine
4. Glutamate

Correct answer: 1. Tyrosine

Explanation: Ans. is 'a' i.e., Tyrosine Amino acidsBiological important compoundTyrosineCatecholamines (epinephrine, norepinephrine, dopamine), thyroxine, triiodothryonine, melanin.(Note: - Phenylalanine is the precursor of tyrosine, thus it can also give rise to all these compounds through tyrosine (phenylalanine - Tyrosine - Catecholamines thyroxine, T3, melanin).TryptophanVitamin niacin, melatonin, SerotoninGlycineArginineMethionineCreatineGlycine, cysteineBile saltsGlycineHemeAspartic acid and glutaminePyrimidine basesGlycine, aspartic acid, glutaminePurine basesb-alanineCoenzyme-AArginineNitric oxideHistidine, Arginine, lysineKeratinMethionine, lysineCarnitineGABAGlutamateGlutamate, cysteine, glycineGlutathione